Beta 1 antagonist used in congestive cardiac failure ?
1. Atenolol
2. Metoprolol
3. Salbutamol
4. Terbutaline

Correct answer: 2. Metoprolol

Explanation: Ans. is `b' i.e., Metoprolol b-blockers used in CHF Cardioselective b-blockers (b1-blockers) Atenolol Bisoprolol Celiprolol Esmolol Metoprolol Nebivolol Acebutalol Betoxalol Non-selective blocker with a-blocking acting Carvedilol Dilovalol Medroxalol Bucindolol Labetalol Bevantolol Nipradilol Among all these following three are used most commonly Carvedilol Metoprolol Bisoprolol